Objective assessment of the refractive state of the eye is termed –
1. Retinoscopy
2. Gonioscopy
3. Ophthalmoscopy
4. Keratoscopy

Correct answer: 1. Retinoscopy

Explanation: Objective refraction methods are retinoscopy, refractometry and keratometry.